False sense of perception without any external object or stimulus is known as :
1. Illusion
2. Impulse
3. Hallucination
4. Phobia

Correct answer: 3. Hallucination